Which of the following is a common association with Celiac sprue ?
1. Herpes Gestationalis
2. Dermatitis herpetiformis
3. Pemphigus vulgaris
4. Bullous pemphigoid.

Correct answer: 2. Dermatitis herpetiformis

Explanation: Both Celiac sprue and dermatitis herpetiformis are associated with HLA DQ2 and HLA DQ8